Oesophagus receives blood supply from all except-
1. Inferior Thyroid artery
2. Inferior phrenic artery
3. Internal mammary artery
4. Bronchial artery

Correct answer: 3. Internal mammary artery

Explanation: Arterial supply of esophagus
Cervical part - Inferior thyroid artery
Thoracic part - esophageal branches of descending thoracic aorta, bronchial arteries.
Abdominal part - left inferior phrenic artery, left gastric artery.